In hypodontia, the most commonly affected tooth is
1. Permanent third molar
2. Permanent second premolar
3. Permanent lateral incisor
4. Permanent Canine

Correct answer: 1. Permanent third molar